True about prostatic urethra are all except
1. Trapezoid in cross-section
2. Presence of verumontanum
3. Opening of prostatic ducts
4. Contains urethral crest

Correct answer: 1. Trapezoid in cross-section

Explanation: Prostatic urethra When working properly, it prevents the urine until it is time to get the semen back into the bladder during ejaculation stops. If damaged, the semen is forced back into the bladder and prostatic urethra finally leaving the normal . Ref - BDC 6e Vol2 , researchgate.net